Most useful investigation in the diagnosis of diabetic ketoacidosis -
1. Ketonemia
2. pH of blood
3. Urinary sugar
4. Urine ketone

Correct answer: 1. Ketonemia